Open reduction internal fixation is definitely required in a child with
1. Fracture femur shaft
2. Fracture tibia shift
3. Lateral condylar fracture of humerus
4. Fracture of both bones of forearm

Correct answer: 3. Lateral condylar fracture of humerus

Explanation: Refer Maheshwari 5th/e p 103 An absolute indication for open reductiin6 internal fixation of a fracture is an intra articular extension, to restore the joint cingruity and reduce the chances of post traumatic arthritis, Out of the options given fracture of lateral condyles of humerus is an intra articular fracture and thus will require open reduction internal fixation